In myocardial infarction, the infarct acquires hyperemic rim with a yellow center at
1. 1-2 hours
2. 3-7 days
3. 7-14 days
4. 10-20 days

Correct answer: 2. 3-7 days

Explanation: Findings of infarct at 3 - 7 days: Gross examinationHyperemia borderSoftening yellow-tan center Histopathology (light microscopy)The beginning of the disintegration of dead muscle fibersNecrosis of neutrophilsThe beginning of macrophage removal of dead cells at the border